Which of the following chelating agent is not used in lead poisoning
1. EDTA
2. CUPRIMINE
3. DMSA
4. DESFERRIOXAMINE

Correct answer: 4. DESFERRIOXAMINE

Explanation: Chelating agent used in lead poisoning a) EDTA b) CUPRIMINE c) DMSA d) BAL e) DMPS